Hydatidiform mole
1. Is associated with molar pregnancy
2. Recurrence is 2%
3. Snow storm appearance on USG
4. All the above

Correct answer: 4. All the above

Explanation: (D) All of the above # Unless specified, MOLAR PREGNANCY relates one with complete mole. It is an abnormal condition of the proliferative changes in the young chorionic villi. These result in the formation of clusters of small cysts of varying sizes. Because of its superficial resemblance to hydatid cyst, it is named as hydatidiform mole. It is best regarded as a benign neoplasia of the chorion with malignant potential. The risk of recurrence of hydatidiform mole in future pregnancy is about 1 to 4 percent. Sonography: Characteristic echogram of molar pregnancy is 'snow storm' appearance. Sometimes confusion arises with the missed abortion or the degenerated fibroid. Sonography of liver, kidneys and spleen is also carried out.